True about xenon anaesthesia – a) Rapid induction and recoveryb) Low potencyc) High blood solubilityd) Non - explosivee) Heavier than air
1. abcd
2. abde
3. acde
4. ade

Correct answer: 2. abde

Explanation: Xenon is a heavy gas; it is 4.5 times heavier than air. It is non-inflammable and non-explosive.
Xenon is a weak anaesthetic with low potency.
Xenon has very low blood-gas partition coefficient, i.e. Very low blood solubility → induction & recovery are very fast.